After more than 1 hour of extraoral time, an avulsed tooth is soaked in sodium hypochlorite solution, then it should be soaked in:
1. 10% NaF for 10 min
2. 2% NaF for 20 min
3. 8% SnF2 for 10 min
4. 2% SnF2 for 10 min

Correct answer: 2. 2% NaF for 20 min

Explanation: Closed apex, extraoral dry time greater than 60 minutes, suggesting non-viable cells.
Delayed replantation has a poor long-term prognosis. 
The periodontal ligament will be necrotic and cannot be expected to heal. The goal in delayed replantation is, in addition to restoring the tooth for aesthetic, functional, and psychological reasons, to maintain alveolar bone contour. However, the expected eventual outcome is ankylosis and resorption of the root, and the tooth will be lost eventually. 
Treatment 

​Clean the area with water spray, saline, or chlorhexidine. 
Re-implant the tooth in the socket. 
Suture gingival lacerations, if present. 
Verify normal position of the replanted tooth both clinically and radiographically. 
Apply a flexible splint for up to 2 weeks. 
Administer systemic antibiotics. 
If the avulsed tooth has been in contact with soil and if tetanus coverage is uncertain, refer to physician for a tetanus booster. 
Initiate root canal treatment 7-10 days after replantation and before splint removal. 

To slow osseous replacement of the tooth, treatment of the root surface with fluoride prior to replantation has been suggested (2% sodium fluoride solution for 20 minutes).
Reference: McDONALD AND AVERY’S DENTISTRY for the CHILD and ADOLESCENT, 10th ed page no 594